Turricephaly is:
1. Tall head
2. Narrow head
3. Wide head
4. Short head

Correct answer: 1. Tall head

Explanation: Turricephaly is cone shaped head from premature fusion of the coronal, sphenofrontal & frontoethmoidal stures. - It's a type of craniosynostosis (MC type of craniosynostosis is DOLICOCEPHALY) Abnormality Debscription Dolicocephaly (scaphocephaly) Premature closure of sagittal suture Long and narrow skull Most common form of craniosynostosis Trigoncephaly Premature fusion of metopic suture Keel-shaped forehead and hypotelorism Increased risk of forebrain abnormalities Plagiocephaly Asymmetrical flattening of 1 side of the skull